Iridocorneal endothelial syndrome is associated with:
1. Progressive atrophy of iris stroma
2. Bilateral stromal edema of iris & cornea
3. Deposition of collagen in Descemet's membrane
4. Deposition of glycosaminoglycan in Descemet's membrane

Correct answer: 1. Progressive atrophy of iris stroma

Explanation: IRIDOCORNEAL ENDOTHELIAL (ICE) SYNDROME (Aka. ESSENTIAL IRIS ATROPHY, CHANDLER SYNDROME, COGAN REESE-SYNDROME & IRIS NEVUS SYNDROME) This rare idiopathic condition of young adults is usually unilateral and manifested by corneal decompensation, glaucoma, and iris abnormalities (corectopia and polycoria). It is unilateral, progressive, relatively uncommon and non-familial condition in young adults. It is associated with glaucoma due to the obstruction caused. The etiology of the condition is unknown. Ref: Roy and Fraunfelder's current ocular therapy, Frederick Hampton Roy, F. Frederick W. Fraunfelder, Frederick T. Fraunfelder, Elsevier Health Sciences, 2007.